Carbonic anhydrase requires -
1. Copper
2. Zinc
3. Iron
4. None

Correct answer: 2. Zinc

Explanation: Ans. is 'b' i.e., Zinc o Zinc containing enzymes are carboxypeptidase, carbonic anhydrase, alkaline phosphatase, lactate dehydrogenase, alcohol dehydrogenase, glutamate dehydrogenase, RNA polymerase and superoxide dismutase.MetalMetalloenzymesCa+2Lipase, LecithinaseCopper (Cu+2/Cu+)Cytochrome oxidase, Tyrosinase, Lysyl oxidase, Superoxide dismutase, Ascorbic acid oxidase, Ferroxidase (ceruloplasmin).Iron (Fe+2/Fe+3)Cytochrome oxidase, Xanthine oxidase, Catalase, PeroxidaseZinc (Zn+2)Carbonic anhydrase, alkaline phosphatase, RNA polymerase, alcohol dehydrogenase, Carboxypeptidase, Prophobilinogen synthase, glutamate dehydrogenase, lactate dehydrogenase, Superoxide dismutase.Magnesium (Mg+2)Hexokinase, phosphofructokinase, glucose-6-phoshphatase, enolase, creatinine kinase, Phosphatases, Kinase, creatine kinase, adenylate cyclase, glutamine synthase, thiokinase, squalene synthase, glutathione synthaseMaganese (Mn+2)Arginase, Pyruvate carboxylase, phosphoglucomutase, Glycosyl transferase, Hexokinase, Enolase.Potasium (K+)Pyruvate kinaseSeleniumGlutathione peroxidaseNickle (N+2)UreaseMolybdenumXanthine oxidase, sulfite oxidaseNote: - Some metalloenzymes contain more than one metal e.g., cytochrome oxidase contains both iron and copper.